Commonest type of Ano rectal abscess is -
1. Ischio rectal
2. Submucous
3. Pelvi-rectal
4. Perianal

Correct answer: 4. Perianal